'Carpal tunnel syndrome' is caused by compression of
1. Median nerve
2. Medial cord of brachial plexus
3. Radial nerve
4. Ulnar nerve

Correct answer: 1. Median nerve

Explanation: Compression of median nerve causes motor,sensory,vasomotor and trophic symptoms in hand. Examination reveals wasting of thenar eminence, hypoaesthesia to light touch on the palmar aspect of lateral 3 1/2 digits. B D Chaurasia 7th edition Page no : 130